HER2/neu receptor plays a role in
1. Predicting therapeutic response
2. Diagnosis of breast cancer
3. Screening of breast cancer
4. Recurrence of tumor

Correct answer: 1. Predicting therapeutic response

Explanation: Friends, direct quote from Robbins….’HER2/neu overexpression is associated with poorer survival but its main importance is as a predictor of response to agents that target this transmembrane protein (examples trastuzumab or lapatinib).’
• The overexpression is due to amplification of the gene HER2/neu located on 17q21. Ackerman writes…. HER2/new encodes a transmembrane glycoprotein with tyrosine kinase activity and its overexpression is a good predictor of response to herceptin (trastuzumab) but not a good predictor of response to chemotherapy or overall survival.